False about fracture of vertebrae
1. Wedge compression cause flexion injury
2. Fracture dislocation is common in flexion rotation injury
3. Chance fracture occurs due to flexion distraction injury
4. Anterior longitudinal ligament runs along the posterior surface of vertevral bodies

Correct answer: 4. Anterior longitudinal ligament runs along the posterior surface of vertevral bodies